Asthma like symptoms is seen in ... poisoning :
1. Arsenic
2. Organophosphorous
3. Lead
4. Gold

Correct answer: 2. Organophosphorous

Explanation: B i.e. Organophosphorous